Carmustine is a
1. Anti metabolite
2. Nitrogen mustards
3. Nitrosoureas
4. Taxanes

Correct answer: 3. Nitrosoureas